The surfactant is produced by
1. Type I Pneumocytes
2. Type II Pneumocytes
3. Alveolar macrophages
4. Clara cells

Correct answer: 2. Type II Pneumocytes

Explanation: The smaller type II pneumocytes are often more numerous than type I pneumocytes, and they contribute less than 10% of the surface area.Their cytoplasm contains numerous characteristic secretory lamellar bodies. Ultrastructurally, the lamellar bodies are comprised of concentric whorls of the phospholipid-rich membrane, the precursors of alveolar surfactant. “Surfactant is stored in lamellar bodies and secreted in the form of tubular myelinby type II pneumocytes.